Barrel-shaped arthroconidia are characteristic of which one of the following fungi?
1. E. floccosum
2. C. immitis
3. Phialophora verrucosa
4. M. canis

Correct answer: 2. C. immitis

Explanation: Microscopic examination of fungal isolates is essential to the identification of the organism.C. immitis is a dimorphic fungus endemic in some regions of the south-western United States and in Latin America. In tissue, the organism exists as a spherule filled with endospores. When grown on solid media, the organism produces barrel-shaped arthroconidia, which stain with lactophenol cotton blue.